All are side effects of OC pills ?
1. Weight gain
2. Breast discomfort
3. Ovarian malignancy
4. DVT

Correct answer: 3. Ovarian malignancy

Explanation: Ans. is 'c' i.e., Ovarian malignancy orT OCP has protective effect on ovarian malignancy.